Common feature between sympathetic Ophthalmitis and vogt Koyanagi Harada syndrome -
a) Autoimmune etiologyb) Injuryc) Uveitisd) Vitiligo
1. a
2. bc
3. ad
4. ac

Correct answer: 4. ac